Methotrexate is used in all except?
1. Sickle cell anemia
2. Psoriasis
3. Rheumatoid arthritis
4. Ankylosing spondylitis

Correct answer: 1. Sickle cell anemia

Explanation: Ans. is 'a' i.e., Sickle cell anemia Uses of Methotrexate Methotrexate can be used in following conditions: i) Conditions which are associated with abnormally rapid cell growth.. Neoplasia (carcinoma of breast), Psoriasis. ii) Inflammatory conditions: RA, AS, lupus, Crohn:s disease. iii) Recently methotrexate has been shown to be effective in inducing miscarriage, e.g. in ectopic pregnancy. This effect of methotrexate is attributed to its action of killing rapidly growing cells of placenta.